HCl secretion is stimulated bya)  Secretinb) Somatostatinc) Histamined) Gastrine) VIP
1. ab
2. cd
3. bd
4. ac

Correct answer: 2. cd

Explanation: HCl secretion
-        Stimulated by
o   Acetylcholine- Cephalic and Gastric phase (Vaso vagal reflex)
o   Gastrin- Gastric and Intestinal phase
o   Histamine
-        Inhibited by
o   Acid (low pH)
o   Somatostatin
o   Secretin
o   Cholecystokinin
o   GIP
o   VIP